Treatment of transverse lies at labour is
1. Artificial rupture of membrane
2. Oxytocin infusion
3. Caesarean section
4. Forceps delivery

Correct answer: 3. Caesarean section

Explanation: (Caesarean section): Ref: 393, 397-DTRANSVERSE LIE: - When the long axis of the fetus lies perpendicularly to the maternal spine or centralized uterine axis it is called transverse lies* In dorso-posterior, chance of fetal extension is common with increased risk of arm prolopse, left one being common than right* Dorso-anterior is the commonest (60%) positionManagement of Transverse lie at labourEarly labourLate labour* External cephalic version* Caesarian section is the preferred method of delivery, if version fails or contraindicated* Baby alive - caesarean section prefer* Internal version - Not only it might inflect injury to the uterus (rupture uterus) but the fetal mortality is increased to the extent of about 50%In modem obstetric practice internal version is not recommended except in the case of second twin* Baby dead - caesarean section is prefer.* There is no mechanism of labour in transverse lie